Successional dental lamina is responsible for :
1. Elongation of the Jaw.
2. Development of permanent incisors canines and premolars.
3. Development of molar tooth only.
4. None of the above.

Correct answer: 2. Development of permanent incisors canines and premolars.

Explanation: From the successional lamina come permanent teeth, which replace the primary teeth except for the permanent molars.